In acute exacerbations of COPD, noninvasive positive pressure ventilation (NIPPV) is initiated when
1. Paco2 >45 mmHg
2. PaO2 <80 mmHg
3. FEV1 <30
4. FEV1/FVC <0.7

Correct answer: 1. Paco2 >45 mmHg

Explanation: In acute exacerbations of COPD, noninvasive positive pressure ventilation (NIPPV) is initiated in patients with respiratory failure, which is defined as Paco2 > 45 mmHg, This results in a significant reduction in mortality rate, need for intubation, complications of therapy, and hospital length of stay.Ref: Harrison 19e pg: 1707